The type of pemphigus that is called as Brazilian wild fire is
1. P. Foliaceus
2. P. Vulgaris
3. P. Vegetans
4. None

Correct answer: 1. P. Foliaceus